To feel comfortable and cool in a factory the conrrected effective temperature ( in degree Farenheit) should be -
1. Less tha 69
2. Between 69 and 76
3. Between 77 and 80
4. Between 81 and 82

Correct answer: 2. Between 69 and 76

Explanation: Comfort zones: In deg C of corrected effective temperature Pleasant and cool 20 Comfortable and cool 20-25 (69-76F) Comfortable 25- 27 (77-80F) Hot and uncomfortable 27-28 Extremely hot 28+ Intolerably hot 30+. Park's Textbook of Preventive and Social Medicine, 25th Edition, Pg 792